Ca Breast stage I and II managed by -a) Total mastectomyb) Modified radical mastectomyc) Lumpectomy and axillary clearanced) Lumpectomy, axillary clearance and radiotherapy
1. c
2. d
3. bd
4. ac

Correct answer: 3. bd